IQ in profound mental retardation -
1. 50 - 70
2. 35 - 50
3. 20 - 35
4. < 20

Correct answer: 4. < 20

Explanation: Ans. is 'd' i.e., < 20 The Intelligence Quotient (I.Q.) is calculated according to the formula:IQ =Mental age----------------Chronological agex 100The WHO classification of mental retardation is based on the concept of IQ and includes the following categories:CategoryIQMild50-70Moderate35-49Severe20-34Profound<20A child with IQ < 70 is called mentally retarded.